Mark true in following?
1. Hanta virus pulmonary syndrome is caused by inhalation of rodent urine and faeces
2. Kyasanur forest disease is caused by bite of wild animal
3. Lyssavirus is transmitted by ticks
4. None

Correct answer: 1. Hanta virus pulmonary syndrome is caused by inhalation of rodent urine and faeces